An optimum crown-root ratio for a tooth to be utilized as fixed partial denture abutment is:
1. 1:01
2. 2:03
3. 3:02
4. 1:04

Correct answer: 2. 2:03

Explanation: Crown-Root Ratio:This ratio is measure of the length of tooth occlusal to the alveolar crest of bone compared with the length of root embedded in the bone. As the level of the alveolar bone moves  apically, the lever arm of that portion out of bone increases, and the chance for harmful lateral forces is increased. The optimum crown-root ratio for a tooth to be utilized as a ﬁxed partial denture  abutment is 2:3. A ratio of 1:1 is the minimum ratio that is acceptable for a prospective abutment under normal circumstances.
Key Concept:
The optimum crown-root ratio for a tooth to be utilized as a ﬁxed partial denture  abutment is 2:3. 
A ratio of 1:1 is the minimum ratio that is acceptable for a prospective abutment  under normal circumstances.